All of the following organisms can be detected by BANA analysis EXCEPT
1. Tannerella forythia
2. Porphyromonas gingivalis
3. Capnocytophaga
4. A. actinomycetemcomitans

Correct answer: 4. A. actinomycetemcomitans